Weber's test lateralizing to the affected side means-
1. Conductive hearing loss
2. Sensorineural hearing loss
3. Mixed loss
4. Brainstem damage

Correct answer: 1. Conductive hearing loss

Explanation: Ans. is 'a' i.e., Conductive hearing loss Weber's testo Lateralized to poorer ear - conductive hearing losso Lateralized to better ear- SNHLo No lateralization- normal